Pseudoflexion deformity of hip is seen in?
1. Iliopsoas abcess
2. Tom smith arthritis
3. Rickets
4. Posterior dislocation of hip

Correct answer: 1. Iliopsoas abcess

Explanation: ANSWER: (A) Iliopsoas abcessREF: Tuberculosis by tuli 3rd e p. 193Psoas abscess gives rise to pseudo hip flexion deformity, due to spasm of the illiopsoas muscles .ipsilateral flexion of hip joint relieves the pain and extension increases it.